The inability to carry out certain functions or activities, which are otherwise expected for that age/sex , is known as
1. Disease
2. Impairment
3. Disability
4. Handicap

Correct answer: 3. Disability

Explanation: Impairment: Any loss or abnormality of psychological or anatomical structure or functionDisability: Any restriction or lack of ability to perform an activity in the manner or within the range considered normal for (age/sex.etc) a human beingHandicap: A disadvantage for a given individual resulting from an impairment or a disability, that limits or prevents the fulfilment of a role that is normal (depending on age, sex, social and cultural factors) for that individual.Loss of foot: ImpairmentCannot walk: DisabilityUnemployed: HandicapPark 23e pg: 44